Nerve supply of deltoid is
1. Axillary
2. Musculocutaneous
3. Median
4. Radial

Correct answer: 1. Axillary

Explanation: Anterior division of axillary nerve supplies most part of the deltoid muscle.Posterior division of axillary nerve supplies the posterior fibres of deltoid muscle.B D Chaurasia 7th edition Page no: 180